Which of the following does not cause neurodegeneration?
1. Balamuthia
2. Iodamoeba
3. Naegleria
4. Entamoeba

Correct answer: 2. Iodamoeba

Explanation: Entamoeba histolytica: metastatic lesions by this organism affects the brain and causes degenerationNaegleria and Balamuthia: free-living amoeba causes meningitis and meningoencephalitis and degeneration.Iodamoeba butschlii: non-pathogenic parasitic amoeba, it is an indicator of oral-fecal contamination and human may experience diarrhea.Neuroparasites:ProtozoaNematodes*Entamoeba histolytica*Naegleria fowleri *Acanthamoeba culbertsoni *Balamuthia mandrillaris*Plasmodium falciparum*Toxoplasma gondii*Trypanosoma brucei gambiense*Trypanosoma brucei rhodesiense*Trypanosoma cruzi *Microsporidia spp*Strongyloides stercoralis*Toxocara canis *Toxocara catis*Trichinella spiralis *Angiostrongylus cantonensis*Gnathostoma spinigerumCestodesTrematodes*Taenia solium *Spirometra spp*Taenia multiceps*Echinococcus granulosus*Echinococcus multilocularis*Schistosoma japonicum*Paragonimus westermaniRef: K.D Chatterjee 13th edition, p97-100